Laser Doppler flowmetry is a method used to assess blood flow in
1. Microvascular systems
2. Microlymphatics
3. Micro vesicles
4. Micro spaces

Correct answer: 1. Microvascular systems